All are true regarding genital herpes except
1. Multiple painful lesions
2. Superficial erythematous lesions
3. No induration
4. No lymphadenopathy

Correct answer: 4. No lymphadenopathy

Explanation: Firm, tender, often bilateral lymphadenopathy with the initial episode is noted in HSV infection. Genital herpes is commonly caused by HSV 2. IP: 2days to 2 weeks Herpetic lesions: discrete, multiple, shallow,painful ulcers that may coalesce into larger areas of ulceration. females: labia, vagina, cervix. males: penis, scrotum. extragenital lesions occur due to autoinoculation(fingers-herpetic whitlow,buttocks) Dysuria and urethritis may be present. Complications: aseptic meningitis, disseminated infection. Tzank smear: multinucleate gaint cells are seen. Treatment: Acyclovir 400 mg orally three times a day for 7-10 days. Ref Harrison 20th edition pg 1233